Kartagener's syndrome includes all EXCEPT:
1. Situs inversus
2. Bronchitis
3. Sinusitis
4. Bronchiectasis

Correct answer: 2. Bronchitis

Explanation: (Bronchitis) (1542-H 16th) (1629-H17th)* Primary ciliary dyskinesia fall in to the subgroup of kartagner's syndrome, in which situs inversus accompanies bronchiectasis and sinusitis.